A 48-year-old male presented to OPD with complaints of generalized swelling over face and legs. Lab reports show moderately increased albuminuria. He gives history of HTN and T2DM for 15 years which is improperly controlled. He is started on cART preparations,which of following drug should not be prescribed to this patient?
1. Dolutegravir
2. Lamivudine
3. Emtricitabine
4. Tenofovir

Correct answer: 4. Tenofovir

Explanation: Albuminuria in presence of T2DM And HTN is pointing towards renal dysfunction Tenofovir disoproxil fumarate (TDF, commonly termed 'tenofovir') is the antiretroviral most commonly implicated in antiretroviral-induced nephrotoxicity. It is mainly metabolized and excreted by kidneys, therefore avoided in patients with renal dysfunction